A 9 year boy presented with abdominal pain and recurrent UTI, IVP reveales duplication of left ureter. The most likely site of ectopic opening would be -
1. Prostatic urethra
2. Ejaculatory duct
3. Seminal vesicle
4. Vas-deference

Correct answer: 1. Prostatic urethra

Explanation: Ans. is 'a' i.e., Prostatic Urethra "In the male, the posterior urethra is the most common site of termination of an ectopic ureter." - Cambell's UrologyTLocation of Ectopic Ureter(In decreasing order) Ref. Cambell UrologyIn Males In Females* Posterior urethra Urethra* Seminal vesicle * Vestibule* Prostatic utricle * Vagina* Ejaculatory duct * Cervix or uterus* Vas deferens * Gartner's duct * Urethral diverticulum